F 10 denotes in ICD 10 denotes
1. organic disorders
2. substance use disorders
3. mood disorders
4. anxiety disorders

Correct answer: 2. substance use disorders

Explanation: ICD CHAPTERS ICD is a text book for classification of psychiatric disorders. The below table comprises chapter numbers dealing with various psychiatric disorders. Ref.Internation Classification disorders, 10 edition